All of the following antibacterial agents acts by inhibiting cell wall synthesis except:
1. Carbapenems
2. Monobactams
3. Cephamycins
4. Nitrofurantoin

Correct answer: 4. Nitrofurantoin